Apart from Escherichia coli, the other most common organism implicated in acute suppurative bacterial peritonitis is-
1. Bacteroides
2. Klebsiella
3. Peptostreptococcus
4. Pseudomonas

Correct answer: 1. Bacteroides

Explanation: Ans. is 'a' i.e. Bacteroides